Category of patients with juvenile idiopathic arthritis, with HLA B27 positive in most of the cases, who present with entheisits, lower limb arthritis involving knees and ankle and presence of inflammatory low back pain, is most likely to be
1. Enthesitis related arthritis
2. Rheumatoid arthritis
3. Reactive arthritis
4. Cryoglobulinemia

Correct answer: 1. Enthesitis related arthritis

Explanation: Answer- A. Enthesitis related arthritisArthritis most commonly affects the lower extremities, knees and ankles, but the hip can also be affected.Enthesitis occurs frequently and is commonly seen as plantar fasciitis, achiles tendinitis and patellar tendon enthesitis.Inflammatory back pain is often seen, defined as lumbosacral spinal pain at rest, with morning stiftress that improves on movement.There is a strong association with HLA B27,with most of the patients of enthesitis associated arthritis positive for HLA B27.Iritis, usually acute, severe hip disease.